Topically used non selective alpha-agonist in glaucoma is?
1. Bimatoprost
2. Dorzolamide
3. Brimonidine
4. Dipivefrine

Correct answer: 4. Dipivefrine

Explanation: Ans. is 'd' i.e., Dipivefrine Pharmacological agents used for POAGA) Topical drugso b-blockers:- Timolol, betaxolol, levobunolol, carteolol.o Prostaglandin analogues:- Latanoprost, bimatoprost, travoprost.o Alpha agonists:- Non-selective (epipherine, dipivefrine); selective a2 (Apraclonidine, Brimonidine).o Carbonic anhydrase inhibitors:- Dorzolantide, brinzolamide.o Cholinomimetic agents:- Pilocarpine, physostigmine, echothiophate, carbachol.B) Systemic drugso Carbonic anhydrase inhibitors:- Acetazolamide, dichlorphenamide, methazolamide.o Hyperosmotic agents:- Mannitol, glycerol.